Which of teh following is the richest source of Vitamin C?
1. Orange
2. Guava
3. Cabbage
4. Amla

Correct answer: 4. Amla

Explanation: Amla contain 600mg, cabbage contain 124mg,orange contain 30mg,guava contain 212mg per 100gm.REF. PARK'S TEXTBOOK OF PREVENTIVE AND SOCIAL MEDICAL 21ST EDITION. PAGE NO - 573